All of the following are features of large intestine, EXCEPT :
1. Large intestine secretes acidic mucus which helps in formation of stools
2. It is a site of mucocutaneous junction
3. Its epithelium contains globlets cells in large numbers
4. Absorbs salt and water

Correct answer: 1. Large intestine secretes acidic mucus which helps in formation of stools

Explanation: A i.e. Large intestine secretes acidic mucus which helps in formation of stoolsSecretions of large intestine are alkali not acidic Appendices epiploicae are small bags of peritoneum filled with fat, found over large intestine except Caecum, Appendix , Rectum (Mnemonic - 'CAR'). These are most numerous on sides of sigmoid colon & posterior surface of transverse colon. Its inflammation is k/a epiploic appendigitis.